Spontaneous bleeding occurs when platelet count falls below
1. 50,000/microL
2. 40,000/microL
3. 30,000/microL
4. 20,000/microL

Correct answer: 4. 20,000/microL

Explanation: >= 50,000/mL Minimal 20,000-50,000/mL Minor bleeding after trauma < 20,000/mL Spontaneous bleeding < 5000/mL Severe, possibly life-threatening spontaneous bleeding